Faint letter mark can be made visible by-
1. Infrared photography
2. Spectrophotometer
3. Ordinary light
4. X-ray

Correct answer: 1. Infrared photography